The kidney stone whose development is seen most commonly is:-
1. Calcium oxalate
2. Triple phosphate
3. Uric acid
4. Cysteine

Correct answer: 1. Calcium oxalate

Explanation: Commonest stone seen in inRt kidney - Calcium oxalate Other types of kidney stones : Triple phosphate - Cart, NH4+ ,MgP04 Uric acid Cysteine stones